Skin over the prominence of the cheek is supplied by:
1. Zygomaticofacial
2. Zygomaticotemporal
3. Auriculotemporal
4. Infra trochlear

Correct answer: 1. Zygomaticofacial